A 36-year-old man is brought to the emergency department because of an episode of 
hemoptysis at home. This was the second episode of hemoptysis in several months. Urinalysis 
shows PBC casts and 1+ protein. An autoantibody screen is ordered. Immunofluorescence on 
a kidney biopsy shows a linear pattern 
The patient is most likely to test positive for which of the following?
1. Anti-CCP
2. Anti-GBM
3. Anti-Po
4. C-ANCA

Correct answer: 2. Anti-GBM